Epinephrine is synthesized from norepinephrine by
1. Hydroxylation
2. N-methylation
3. Deamination
4. Carboxylation

Correct answer: 2. N-methylation

Explanation: Norepinephrine can be converted into epinephrine by the enzyme phenylethanolamine N-methyltransferase with S-adenosyl-L-methionine as cofactor.